Eruption of Mandibular 2nd Premolar occur at
1. 8-9 years
2. 6 years
3. 4 years
4. 11-12 years

Correct answer: 4. 11-12 years